All of the following may occur in Noonan syndrome except:
1. Hypertrophic cardiomyopathy
2. Cryptorchidism
3. Infertility in females
4. Autosomal dominant transmission

Correct answer: 3. Infertility in females

Explanation: c. Infertility in females(Ref: Nelson's 20/e p 2744-2746, Ghai 8/e p 640-641)Turner syndromeNoonan syndromeKaryotype 45, XOKaryotype normalInfertileFertile but delayed pubertySeen only in femalesMay be seen in males or femalesIntelligence normalIntellectual disability present